Which one of the following is Autosomal recessive
1. Homocystinuria
2. G6PD deficiency
3. Myotonic dystrophy
4. Otospongiosis

Correct answer: 1. Homocystinuria

Explanation: Answer is A (Homocystinuria) : Homocystinuria is inherited as an autosomal recessive disorder. Disorder Inheritance G-6 PD deficiency X-Linked Myotonic dystrophy Autosomal dominant Otospongiosis Autosomal dominant